Gastroschisis is associated with :
1. Younger maternal age
2. Maternal obesity
3. Elderly primi
4. Anaemia

Correct answer: 1. Younger maternal age

Explanation: Gastroschisis and Omphalocele are rare abdominal defects. Gastroschisis Paraumbilical defect. Usually on the right side of the cord insertion. Herniated small bowel loops floating free in amniotic fluid Not covered by any membrane Not associated with chromosomal anomaly Good prognosis Common in young maternal age (under 20yrs) Omphalocele: Usually midline defect Cord insertion is on the herniated mass. Hernia contains intestines,liver and both Covered by a membrane (peritoneum and amnion) Associated chromosomal anomaly--> 40-60% Poor prognosis. Reference: Dutta's textbook of Obstetrics, 7th edition page no 496